An aminoglycoside that is resistant to majority of inactivating enzymes is :
1. Gentamicin
2. Amikacin
3. Tobramycin
4. Sisomicin

Correct answer: 2. Amikacin